Which of the follow ing is not a rate-limiting enzyme-
1. HMG CoA reductase
2. Phosphofructokinase
3. Acetyl CoA carboxylase
4. Malonate dehydrogenase

Correct answer: 4. Malonate dehydrogenase

Explanation: Ans. is 'd' i.e., Malonate dehydrogenase o Malonate dehydrogenase is not a rate-limiting enzymes. o HMG-CoA reductase (in cholesterol synthesis), phosphofructokinase I (in glycolysis) and acetyl-CoA carboxylase (in fatty acid synthesis) are rate-limiting enzymes, Reactions Rate-limiting enzymes Glycolysis Phosphofructokinase Glycogen synthesis Glycogen synthetase Glycogenolysis Glycogen phosphorylase TCA cycle Isocitrate dehydrogenase Fatty- acid synthesis Acetyl CoA carboxylase Cholesterol synthesis HMG CoA reductase Ketone body synthesis HMG CoA synthase Bile acid synthesis 7-oc-hydroxylase Catecholamine synthesis Tyrosine hydroxylase Urea synthesis CPS - I